Which of the following projection is contraindicated in patients with cervical spondylitis?
1. Submentovertex view
2. PA view
3. Reverse towne's projection
4. Waters view

Correct answer: 1. Submentovertex view

Explanation: Patient's head and neck should be extended backward such that the vertex of the skull is on the centre of the cassette. (So, this projection is contraindicated in patients with cervical spondylitis).